At what cervical level spinal cord circumference is maximum
1. C4
2. C5
3. C6
4. C7

Correct answer: 3. C6

Explanation: The cervical enlargement of spinal cord corresponds with the attachments of the large nerves which supply the upper limbs. It extends from about the third cervical to the second thoracic vertebra, its maximum circumference (about 38 mm.) being on a level with the attachment of the sixth pair of cervical nerves.